The most radiosensitive cells in the body are
1. Endothelial cells
2. Epithelial cells
3. Red blood cells
4. White blood cells

Correct answer: 4. White blood cells